Most common site of oral leukoplakia is
1. angle of mouth
2. cheek mucosa
3. Soft palate
4. Gingiva

Correct answer: 2. cheek mucosa